All of the following are prevention strategies followed for Neonatal Tetanus, except:
1. Immunizing all married women
2. 5 clean practices
3. 2 doses of TT to all pregnant women
4. Giving penicillin to all the new borns

Correct answer: 4. Giving penicillin to all the new borns

Explanation: Administration of penicillin to all newborns has not been established as a strategy to prevent neonatal tetanus. While the other three options are included in the prevention of neonatal tetanus. Penicillin can be used in the treatment to kill any vegetative forms of tetanus bacteria and also in the prophylaxis of tetanus. Ref: Park's Textbook of Preventive and Social Medicine 19th edition; pages 260 - 264.